Which of the following venous sinuses is more likely to be affected with thrombosis in chronic otitis media and  mastoiditis?
1. Cavernous
2. Inter-Cavernous
3. Sigmoid
4. Superior petrosal

Correct answer: 3. Sigmoid